Autoregulation means
1. Maintains the blood flow
2. Vary with change in pressure
3. Regulated by local metabolites
4. Well developed in the skin

Correct answer: 1. Maintains the blood flow